Which of the following is acid-fast organism?
1. Mycoplasma
2. Actinomycetes
3. Nocardia
4. Chlamydia

Correct answer: 3. Nocardia

Explanation: Ans. c (Nocardia). (Ref. Textbook of Microbiology by Anantanarayan, 6th/371)FOLLOWING ARE ACID FAST STAINING POSITIVE1. M.Tb2. Nocardia3. Bacterial spores4. Lipofuschin pigment5. M. leprae6. Cryptosporidium